Most common Cerebellopontine angle tumour is:
1. Acoustic neuroma
2. Cholesteatoma
3. Meningioma
4. None of the above

Correct answer: 1. Acoustic neuroma

Explanation: (a) Acoustic neuroma is the most common benign tumour of the CP angle.(Ref. Cummings, 6th ed., 2748)The next most common tumour here is meningioma followed by epidermoid, i.e. cholesteatoma.